The gold standard for the diagnosis of osteoporosis is:
1. Dual energy x-ray absorptiometry
2. Single energy x-ray absorptiometry
3. Ultrasound
4. Quantitative computed tomography

Correct answer: 1. Dual energy x-ray absorptiometry